Which of the following nerve is involved in Frey's syndrome?
1. Trigeminal
2. Mandibular
3. Ariculo temporal
4. Lingual

Correct answer: 3. Ariculo temporal

Explanation: Syndrome (Gustatory Sweating) aka auriculotemporal syndrome: Frey's syndrome arises as a complication of parotid surgery usually manifesting several months after the operation. lt is characterised by sweating and flushing of the preauricular skin during mastication causing nuisance to the person or social embarrassment. It is the result of damage to auriculotemporal nerve and aberrant innervation of sweat glands by parasympathetic secretomotor fibres which were destined for the parotid. Now instead of causing salivary secretion from the parotid, they cause secretion from the sweat glands. The condition can be treated by tympanic neurectomy which intercepts these parasympathetic fibres at the level of middle ear. Some people like to place a sheet of fascia lata between the skin and the underlying fat to prevent secretomotor fibres reaching the sweat glands. Generally, no treatment other than reassurance is required in most of these patients. Also known as Crocodile tears (gustatory lacrimation): There is unilateral lacrimation with mastication. This is due to faulty regeneration of parasympathetic fibres which now supply lacrimal gland instead of the salivary glands. It can be treated by section of greater superficial petrosal nerve or tympanic neurectomy.